Lucio reaction is seen in -
1. TB
2. Leprosy
3. Syphillis
4. LGV

Correct answer: 2. Leprosy

Explanation: Ans is 'b' i.e., Leprosy Lucio reaction/phenomenono Seen in untreated cases of lepromatous leprosy (LL).o Patients develop recurrent crops of large, sharply marginated, ulcerative lesions, particularly on lower extremities,o It is due to heavy parasitism of endothelial cells, endothelial proliferation and thrombus formation which leads to ischemic necrosis.